Buccopharyngeal membrane consist of
1. Mesoderm and endoderm
2. Ectoderm and mesoderm
3. Ectoderm, mesoderm and endoderm
4. Endoderm and ectoderm

Correct answer: 4. Endoderm and ectoderm

Explanation: There is no mesoderm in the prochordal plate, so this region remains relatively thin, and later forms the buccopharyngeal membrane. The buccopharyngeal membrane breaks at 4th week . The mouth is bidermal in development. It is derived partly from the stomatodeum (ectodermal) and partly from the cranial part of the foregut (endodermal). Hence its epithelial lining is partly ectodermal and partly endodermal and the demarcation between the two is buccopharyngeal membrane. Ref: Inderbir Singh's Human Embryology, eleventh edition, pg. no.,68,69,163.